Which of the following retractor is used for retracting the lingual flap because of close proximity of lingual nerve to mandibular 3rd molar:
1. Howarth retractor.
2. Austin retractor.
3. L retractor.
4. Any of the above.

Correct answer: 1. Howarth retractor.

Explanation: Howarth's retractor:  Howarth's elevator can be used for retracting the lingual flap because of close proximity of the lingual nerve in relation to the impacted third molar.